Paresthesia is seen with which of the following types of fractures:
1. Subcondylar
2. Zygomatico maxillary
3. Coronoid process
4. Symphyseal

Correct answer: 2. Zygomatico maxillary